The following are components of Brown sequard syndrome except -
1. Ipsilateral extensor plantar response
2. Ipsilateral pyramidal tract involvement
3. Contralateral spinothalamic tract involvement
4. Contralateral posterior column involvement

Correct answer: 4. Contralateral posterior column involvement